Death in Ludwig's angina occurs due to
1. Sepsis
2. Respiratory obstruction
3. Cavernous sinus thrombosis
4. Carotid blow-out

Correct answer: 2. Respiratory obstruction